MCH care is assessed by -
1. Death rate
2. Birth rate
3. Maternal mortality rate
4. Anemia in mother

Correct answer: 3. Maternal mortality rate

Explanation: The commonly used indicators of MCH care are : Maternal mortality rate Mortality in infancy and childhood : perinatal mortality rate, neonatal mortality rate, post-neonatal mortality rate, infant mortality rate, 1-4 year mortality rate, under 5 mortality rate, child survival rate. Reference: Park's textbook of preventive and social medicine 23rd Edition